Most common oncogenic RNA virus -
1. Retrovirus
2. Picornavirus
3. Orthomyxovirus
4. Paramyxovirus

Correct answer: 1. Retrovirus

Explanation: only oncogenic RNA viruses retetro viruses REF:MICROBIOLOGY ANANTHA NARAYANAN NINTH EDITION PAGE.565